Acoustic dip occurs at:
1. 2000 Hz
2. 4000 Hz
3. 500 Hz
4. 1500 Hz

Correct answer: 2. 4000 Hz

Explanation: Acoustic dip is dip seen in pure tone audiometry due to noise trauma, which is seen typically at 4 kHz i.e. 4000 Hz.